Least chances of infective endocarditis is associated with:-
1. Mild MS
2. Mild MR
3. Small ASD
4. Small VSD

Correct answer: 3. Small ASD

Explanation: Risk of infective endocarditis in various lesions High Risk Moderate Risk Low Risk Prosthetic heart value Tetralogy of Fallot PDA Aortic regurgitation Aortic stenosis Coarctation of Aorta VSD Mitral regurgitation MVP + M.R. Tricuspid stenosis Tricuspid regurgitation Pulmonary stenosis Mitral stenosis ASD MVP without MR